A group of people gathering temporarily to watch a comedy show is
1. Mob
2. Band
3. Crowd
4. Herd

Correct answer: 3. Crowd